Arbovirus transmitted by tick all except
1. Japanese encephalitis
2. Kyasanur forest disease
3. Russian spring summer encephalitis
4. Omsk hemorrhagic fever.

Correct answer: 1. Japanese encephalitis

Explanation: Japanese encephalitis is caused by a virus of arbovirus family ,transmitted by vector - culex mosquito Vector Arboviruses Aedes aegypti Dengue Chikungunya Yellow fever virus Culex tritaeniorhynchus Japanese encephalitis Tick Kyasanur forest disease (KFD) Russian spring summer encephalitis Powassan virus Omsk hemorrhagic fever Crimean congo hemorrhagic fever Colorado tick fever.